Which of the following is true about Richter hernia?
1. Contains Meckel diverticulum
2. Contains vermiform appendix
3. Contains a portion of circumference of intestine.
4. It is a direct hernia with indirect component.

Correct answer: 3. Contains a portion of circumference of intestine.

Explanation: Ans: c (Contains a portion of circumference of intestine) Ref: Bailey & love, 24th ed, 1274In Richter hernia, only a portion of the circumference of the intestine enters the hernial sac, therefore complete obstuction and absolute constipation is rare, even after the hernial contents gets incarcerated and strangulated.Most common of all hernias - INDIRECT INGUINAL HERNIAMost common in elderly - DIRECT INGINAL HERNIAMost common hernia in females - INDIRECT INGUINAL HERNIA.Other named herniasLittre's hernia - Contains Meckel's diverticulum.Sliding hernia - Contains sigmoid colon and its mesentry on the left side and caecum on the right side. Also called HERNIA - EN - GLISSADE. Left>Right and is seen exclusively in males.Spigelian hernia - Interparietal hernia occurring at the level of arcuate line.Maydl's hernia - Strangulated loop, the W lies within the abdomen, thus local tenderness is not marked.Epigastric hernia - Fatty hernia of the linea alba.Little's hernia - Contains vermiform appendix.